In which of the following condition snow banking is seen:
1. Leprotic uveitis
2. Candidiasis
3. Pars planitis
4. Fuchs iridocyclitis

Correct answer: 3. Pars planitis

Explanation: Pars planitis is a chronic form of cyclitis seen in children and young adults. In 80% of cases it affects both eyes. Main presenting symptom is floaters before the eyes. Eye is usually quiet with mild flare and a few small KPs. Anterior vitreous contains numerous cells and indirect ophthalmoscopy reveals snowball or cotton ball like white exudates near the ora serrata. These exudates coalesce to form a white plaque giving snow banking effect. Vision is primarily reduced due to macular edema and later by cyclitis membrane. It is self-limiting disease and has good prognosis in majority of cases.